A full-term multigravida is having breech presentation. Ideal management in this case would be:
1. Elective caesarean section
2. External cephalic version followed by vaginal delivery
3. Trial of labour
4. External cephalic version followed caesarean section

Correct answer: 2. External cephalic version followed by vaginal delivery

Explanation: Ans. B: External cephalic version followed by vaginal delivery Indications for Elective caesarean section in breech presentation: Estimated fetal weight more than 3.5 kg Hyperextended head Footling presentation Associated complications Pelvic inadequacy Otherwise try external cephalic version and trial of vaginal breech delivery.